Right lung is seen to best advantage on the following view – a) Right posterior obliqueb) Right anterior obliquec) Left anterior obliqued) Lateral
1. a
2. bc
3. ad
4. ac

Correct answer: 4. ac

Explanation: Oblique views are used to shift the heart shaddow so that the lung is more easily visualized :-


Maximum area of right lung is visualized on  →  left anterior oblique or right posterior oblique views.
Maximum area of left lung is visualized on → right anterior oblique or left posterior oblique views.